Whic of the following is categorised as a high risk pregnancy?
1. Birth order 3
2. Maternal height 150 cm
3. Twins pregnancy
4. Blood group AB +ve

Correct answer: 3. Twins pregnancy

Explanation: High risk cases include : Elderly primi (>30years) Short statured primi (<140cm) Malpresentations Antepartum haemorrhage, threatened abortion Pre-eclampsia and eclampsia anemia Twins Previous still birth, Intrauterine death, manual removal of placenta elderly grandmultiparas prolonged pregnancy history of caesarean or instrumental delivery Pregnancy associated with general diseases Treatment for infertility Three or more consecutive spontaneous abortions